Which of the following is a new Major Jones criteria in high risk population, according to AHA & world heart federation 2015 criteria:-
1. Monoarthralgia
2. Chorea
3. Monoarthritis
4. Polyarthritis

Correct answer: 3. Monoarthritis

Explanation: Revised Jones criteria for acute rheumatic fever (2015) American Heart Association and World Health Federation For all populations with: - Initial episode of acute rheumatic fever: Two major / one major + two minor criteria - Recurrent episodes of acute rheumatic fever: Two major / one major + two minor / three minor criteria - Essential criteria: Previous evidence of group A beta hemolytic streptococcal infection Low - Risk Populations - Incidence <2/100,000 in school-going children; rheumatic heart disease prevalence <1/1000 Moderate & High-Risk Populations Incidence >2/100,000 in school-going children; rheumatic heart disease prevalence >1/1000 Major criteria - Carditis: Clinical or subclinical - Arthritis: Polyarthritis only - Chorea - Erythema marginatum - Subcutaneous nodules Major criteria - Carditis: Clinical or subclinical - Arthritis: Polyarthritis or monoarthritis - Polyarthralgia - Chorea - Erythema marginatum - Subcutaneous nodules Minor criteria - Polyarthralgia - Fever (>38.5deg C) - ESR >=60 mm in the first hour; CRP >=3.0 mg/dL - Prolonged PR interval, after accounting for age variability (unless carditis is a major criterion) Minor criteria - Monoarthralgia - Fever (>=38deg C) - ESR >=30 mm in the first hour; CRP >=3.0 mg/dL - Prolonged PR interval, after accounting for age variability (unless carditis is a major criterion)